Repressor is present in which part of mind?
1. Consicous
2. Preconscious
3. Unconscious
4. Superconscious

Correct answer: 2. Preconscious

Explanation: Repressor prevents contents of unconscious mind coming to the awareness of conscious part of mind.
It is present in "Preconscious" part of mind that seperates conscious & unconscious mind, according Topographical threory of mind.